Which of the following enzyme of Heme synthesis is located in mitochondria?
1. ALA synthase
2. ALA dehydratase
3. Uroporphyrinogen I synthase
4. Uroporphyrinogen decarboxylase

Correct answer: 1. ALA synthase

Explanation: First reaction and the last 3 reactions of heme synthesis take place in the mitochondria. The rest of them takes place in cytosol. Figure: Heme synthesis occuring in mitochondrion & cytosol